Commonly undergoing malignant transformation is/are :a) FAPb) Crohn' s diseasec) Ulcerative colitisd) Enteric colitise) Juvenile polyposis
1. a
2. bc
3. ac
4. b

Correct answer: 3. ac